Most sensitive test for measuring ss HCG levels for diagnosis of pregnancy is?
1. Serum beta HCG by ELISA
2. Urine pregnancy test
3. Immuno Radiometric assay
4. Radio immuno Assay

Correct answer: 3. Immuno Radiometric assay

Explanation: Sensitivity of various tests for detection of Hcg Urine pregnancy test: + in 60-70% (sensitive to 150 mIU ) Serum beta hcg by ELISA: + in > 95% (sensitive to 5 mIU) Radio immuno assay: + in 100 % (sensitive to 1-2 mIU) can detect pregnancy on 7th day of ovulation Immuno Radiometric Assay: + in 100 % (sensitive to 0.5 mIU) can detect pregnancy on 7th to 10th day of ovulation